Which of the following are pruritic lesions
1. Lichen planus
2. Sun burns
3. Pemphigoid
4. All of the above

Correct answer: 4. All of the above

Explanation: A i.e. Lichen planus; B i.e. Sun burns; C i.e. Pemphigoid In SLE skin lesions are neither itchy nor painfulQ Lesion Itching SLE Not itchyQ Psoriasis Very uncommonQ Pemphigus Mild Pemphigoid Common Sun burn Common DLE Very common Lichen planus Voilaceous (extremely itchy)Q